As compared to mediolateral episiotomy, median episiotomy has complications because of:
1. Poor repair
2. Cosmetic problem
3. Extension to rectum
4. More blood loss

Correct answer: 3. Extension to rectum

Explanation: Ans. (c) Extension to rectumRef.: D.C. Dutta 8th ed. / 649-50, 5th ed.l 606* Episiotomy: is defined as a surgical incision of the perineum made to increase the diameter of the vulval outlet during child- birth (and not the whole birth canal).* Types of episiotomy: (Only the median or mediolateral episiotomy are done commonly).* Medio-lateral# Median# Lateral# T shapedMedianMediolateral* Muscles are not cut* Blood loss is less* Repair is easy* Healing is superior* Dyspareunia is rare* Extension, if occurs, may involve rectum* Incision cannot be extended* Muscles are cut* Blood loss is more* Repair is difficult* Healing is less superior* Dyspareunia is more* Relative safety from rectal involvement from extension* Incision can be extended Q